A six-year old boy is schedules for examination of the eye under anaesthesia. The father informed that for the past six months the child is developing progressive weakness of both legs. His elder sibling had died at the age of 14 years. Which drug would you definitely avoid during the anaeshetic management?
1. Succinylcholine
2. Thiopentone
3. Nitrous oxide
4. Vecuronium

Correct answer: 1. Succinylcholine

Explanation: A i.e. Succinylcholine Boy is having some myopathy (probably duchenne's). So Sch may lead to life threatening hyperkalemia.